Tumors associated with infective etiology are all except
1. Nasopharyngeal ca
2. Hepatocellular ca
3. Non-small cell carcinoma lung
4. Gastric ca

Correct answer: 3. Non-small cell carcinoma lung

Explanation: Nasopharyngeal carcinoma - Epstein-Barr virus Hepatocellular carcinoma - Hepatitis B virus Gastric carcinoma - H.pylori (gram positive spiral shaped bacteria)Reference : page 222 and 224 Textbook of pathology Harshmohan 6th edition